All of the following are anticholinergics except:
1. Ipratropium bromide
2. Dicyclomine
3. Atropine
4. Amphetamine

Correct answer: 4. Amphetamine

Explanation: Ref: KD Tripathi pharmacology 7th edition (page.no: 113) Anticholinergic drugs classification: 1. Natural alkaloids - Atropine, Hyoscine (Scopolamine). 2. Semisynthetic derivatives ;Homatropine, Atropine methonitrate, Hyoscine butyl bromide, Ipratropium bromide, Tiotropium bromide. 3. Synthetic compounds (a) Mydriatics: Cyclopentolate, Tropicamide b) Antisecretory-antispasmodics: (i) Quaternary compounds: Propantheline, Oxyphenonium, Clidinium, Pipenzolate, methyl bromide, Isopropamide, Glycopyrrolate. (ii) Tertiary amines: Dicyclomine, Valethamate,Pirenzepine. (c) Vasicoselective: Oxybutynin, Flavoxate,Tolterodine. (d) Antiparkinsonian: Trihexyphenidyl (Benzhexol), Procyclidine, Biperiden. Amphetamine is adrenergic drug